Specific gravity of enamel is
1. 1.5
2. 2.8
3. 3
4. 3.8

Correct answer: 2. 2.8